Brucella abortus primarily affects -
1. Dog
2. Cattle
3. Swine
4. Goat

Correct answer: 2. Cattle

Explanation: Ans. is 'b' i.e., Cattle o Human brucellosis is a zoonosis, acquired from animals directly or indirectly. The animals that commonly act as sources:Sheep, goat ami camel -Br. melitensisCattle or Buffalo-Br. abortusSwine-Br. suisDog-Br. Canis